End–tidal CO2 is increased to maximum level in –
1. Pul. embolism
2. Malignant hyperthermia
3. Extubation
4. Blockage of secretion

Correct answer: 2. Malignant hyperthermia

Explanation: The unanticipated doubling or tripling of end tidal CO2 is the earliest & most sensitive indicator of malignant hyperthermia. The earliest signs seen during anesthesia are masseter muscle rigidity (MMR), tachycardia, & hypercarbia.